The dental pulp is derived form
1. Dental papilla
2. Dental sac
3. Odontoblasts
4. Stellate reticulum

Correct answer: 1. Dental papilla